Cryptococcus rarely cause infection of
1. Kidney
2. Skin
3. Bone
4. Brain

Correct answer: 1. Kidney

Explanation: Cryptococcus neoformans, a capsulated yeast is the causative agent, it is the only deep mycoses present in India .
It has a spherical budding cell with a prominent polysaccharide capsule.
It is a true yeast and gram positive the capsule can be demonstrated using india ink or nigrosin staining 
Disease is usually asymptomatic and seen in immunocomprmised individuals, pulmonary cryptococcosis may lead to mild pneumonitis, cryptococcal meningitis occurs by haematogenous spread, skin, bone and lymph nodes are most commonly affected.

Ref : Textbook of Microbiology, C P Baveja 5th Edition pg no:556